The neonatal feature of cystic fibrosis is
1. Bronchitis
2. Bronchiolitis
3. Meconeum ileus
4. Bronchiectasis

Correct answer: 3. Meconeum ileus

Explanation: Meconium is the first stool (bowel movement) that a newborn has. This stool is very thick and sticky. Meconium ileus is a bowel obstruction that occurs when the meconium in your child's intestine is even thicker and stickier than normal meconium, creating a blockage in a part of the small intestine called the ileum. Most infants with meconium ileus have a disease called cystic fibrosis. Reference: GHAI Essential pediatrics, 8th edition